Lung sequestration occurs most commonly in which lobe -
1. Apical
2. Left posterior basal
3. Left posterosuperior
4. Right lateral basal

Correct answer: 2. Left posterior basal